BCG used as treatment for which cancer
1. Lung
2. Bladder
3. Rectum
4. Gall bladder

Correct answer: 2. Bladder

Explanation: BCG is used as intravesical chemotherapeutic agent.